Which is not a product of the pentose phosphate pathway?
1. Sedoheptulose-7-phosphate
2. O2
3. Glyceraldehyde-3-phosphate
4. NADPH

Correct answer: 2. O2

Explanation: Step 5: Transketolase Reaction - Transketolase is a thiamine pyrophosphate (TPP) dependent enzyme. It transfers two-carbon unit (with keto group) from xylulose-5-phosphate to ribose-5-phosphate to form a 7 carbon sugar, sedoheptulose-7-phosphate and glyceraldehyde-3- phosphate. Transketolase enzyme will transfer the group from a donor ketose to an aldose acceptor. In thiamine deficiency transketolase activity is decreased. The reaction may be summarized as 5C + 5C = 7C + 3C. REF: DM VASUDEVAN TEXTBOOK OF BIOCHEMISTRY, SIXTH EDITION,PG.NO.,114.